Tensile strength of wound becomes normal after:-
1. 6 weeks
2. Never
3. 4 months
4. 6 months

Correct answer: 2. Never

Explanation: At the end of the first week, wound strength is approx. 10% of that unwounded skin. Strength increases rapidly over the next 4 weeks The rate of increase then slows at approximately the third month after the original incision,reaches a plateau at about 70-80 % of the tensile strength of the unwounded skin, a condition that may persist for life. The tensile strength of wound never equals that of unwounded skin